Incubation period of syphilis is:
1. 9-90days
2. 10-14days
3. 10-21days
4. 15-30days

Correct answer: 1. 9-90days